AFP is increased in -
1. Endodermal sinus tumour
2. Teratoma
3. Dysgerminoma
4. Choriocarcinoma

Correct answer: 1. Endodermal sinus tumour